All are accessory muscles of inspiration except -
1. Serratus anterior
2. Serratus posterior superior
3. Latissimus dorsi
4. Scaleni

Correct answer: 3. Latissimus dorsi

Explanation: Serratus anterior, serratus posterior and scalene are accessory muscles for inspiration. Latissimus dorsi is an accessory muscle for expiration.